Ocular symptom of Von Recklinghausen disease is
1. Deformed anterior chamber with reduced angle of AC
2. Glaucoma
3. Choroidal hemangioma
4. Subretinal neovascularization

Correct answer: 2. Glaucoma

Explanation: • NF-1 is the most common phakomatosis, affecting 1:4000 individuals, and presents in childhood.
• The gene locus is on 17q11.